Side effect of condom -
1. Contact dermatitis
2. Rexpensive
3. Require medical supervision
4. None

Correct answer: 1. Contact dermatitis

Explanation: park's textbook of preventive and social medicine 23rd edition. *condom is the most widely known and used barrier device by the males.repeated use of condom may result in contact dermatitis.